A patient Amit Kumar is suffering from atherosclerosis. Which of the following is the most beneficial drug for prevention of stroke in this patient ?
1. Aspirin
2. Warfarin
3. Low dose subcutaneous heparin
4. Digoxin

Correct answer: 1. Aspirin